In the treatment of hypothyroidism, thyroxine is preferred over liothyronine because thyroxine:
1. Is faster acting
2. Has higher affinity for thyroid hormone receptors
3. Has a longer half life
4. Can be made more easily by recombinant DNA technology

Correct answer: 3. Has a longer half life

Explanation: (Ref: KDT 6/e p247) Liothyronine (T3) as compared to thyroxine (T4) is: Fast acting More potent Short half life Indication of liothyronine includes myxedema coma and for most of the indications thyroxine is used because is has a long half life thus can be used less frequently than T3.